Cobb's angle is used to measure the degree of -
1. Kyphoscoliosis
2. Angular deformity of the knee
3. Extent of depression in calcaneal fracture
4. Extent of spondylolistheis

Correct answer: 1. Kyphoscoliosis

Explanation: Ans. is 'a' i.e., Kyphoscoliosis o Severity of the curve in scoliosis is measured by cobb's angle, i.e. an angle between line passing through the margins of vertebra at ends of curve.o To use the cobb method, one must first decide which vertebrae are the end-vertebrae of the curve. These end vertebrae are the vertebrae at the upper and lower limits of curve which tilt most severely toward the conavity of the curve.o Other method used to measure scoliosis angle is Ferguson's method